Acute bacterial prostatitis most common organism involved is:
1. Streptococcal viridans
2. Pepto streptococci
3. Escherichia coli
4. Streptococci agalactiae

Correct answer: 3. Escherichia coli

Explanation: Ans. (c) Escherichia coliRef Bailey and Love 27th Edition, Page 1474Most common organisms causing Acute Prostatitis:* E. coli (Most common in 80%)* Staph, aureus* Staph. Albus* Streptococcus faecalis* Neisseria Gonorrhea* ChlamydiaInfection spread via hematogenous source or via acute urinary infectionClinical features: Fever with chills and rigors and back ache, urine contains threads in voided sample, rectal irritation, etc. Treatment involves antibiotics that penetrates prostate like trimethoprim and ciprofloxacin